Cytogenetic studies in a 70-year-old woman with chronic myelogenous leukemia (CML) demonstrate a t(9;22) chromosomal translocation. Which of the following best explains the role of this translocation in the pathogenesis of leukemia in this patient?
1. Altered DNA methylation status
2. Enhanced expression of telomerase gene
3. Expansion of a trinucleotide repeat
4. Protooncogene activation

Correct answer: 4. Protooncogene activation

Explanation: Philadelphia chromosome is the best-known example of an acquired chromosomal translocation in a human cancer It is found in 95% of patients with CML. The c-abl protooncogene on chromosome 9 is translocated to chromosome 22 The c-abl gene and bcr region unite to produce a hybrid oncogene that codes for an aberrant protein with very high levels of tyrosine kinase activity, which generates mitogenic and antiapoptotic signals.